Maximum amount of essential fatty acids is found in:
1. Coconut oil
2. Sunflower oil
3. Mustard oil
4. Groundnut oil

Correct answer: 2. Sunflower oil

Explanation: Remember the list given below Safflower oil > corn oil > sunflower oil > soyabean oil > groundnut oil > mustard oil > palm oil > coconut oil. Ref: Park 21st edition, page 566.